Birth weight triples at:
1. 9 months of age
2. 1 year of age
3. 2 years of age
4. 2.5 years of age

Correct answer: 2. 1 year of age

Explanation: Ans. 1 year of age